Which disorder of carbohydrate metabolism typically has cardiac involvement?
1. Glycogen Storage Disease Type I (Von Gierke disease)
2. Glycogen Storage Disease Type II (Pompe disease)
3. Hereditary fructose intolerance
4. Galactosemia

Correct answer: 2. Glycogen Storage Disease Type II (Pompe disease)

Explanation: Pompe disease: coarse facies hepatomegaly, hypotonia progressive cardiomegaly and cardiac dysfunction ECG- short PR, large QRS complexes.